The ideal timing of radiotherapy for WiIlm's tumor after surgery is -
1. Within 10 days
2. Within 2 weeks
3. Within 2 months
4. Any time after surgery

Correct answer: 1. Within 10 days

Explanation: Ans. is 'a' i.e. within 10 days The postoperative radiotherapy in Wilm's tumour is started within 10 days of surgery. Delay in starting radiotherapy beyond ten days leads to tumor cells repopulation and increases the relapse rate.